Which of the following does not go into chronic hepatitis stage -
1. HBV
2. HCV
3. HDV
4. HEY

Correct answer: 4. HEY

Explanation: Ans. is 'd' i.e., HEV